In polygraph test 'GSR' stands for:
1. Guilt Score Reaction
2. Galvanic Skin Reaction
3. Galvanic Sensor Reaction
4. Guilt Sensitivity Reaction

Correct answer: 2. Galvanic Skin Reaction

Explanation: Ans. Galvanic Skin Reaction